The most rigid palatal major connector is
1. A-P palatal bar
2. Palatal plate
3. Palatal bar
4. Horse shoe shaped palatal bar

Correct answer: 1. A-P palatal bar